Red infarct is seen in -
1. Liver
2. Kidney
3. Brain
4. Lung

Correct answer: 4. Lung

Explanation: Harshmohan textbook of pathology 7th edition red or haemorrhagic infract seen in soft loose tissues and are caused by pulmonary arterial obstruction ( lungs) or by arterial or venous occlusion( intestine)..